Increased pulmonary blood flow radiologically indicated by all except: IE. REPEAT 2007)
1. Descending pulmonary artery' diameter > 16 mm
2. Kerley B lines
3. Diameter of 2 peripheral arteries > accompanying bronchus
4. Peripheral arteries more than 6 in outer I/3rd

Correct answer: 2. Kerley B lines

Explanation: Ref: Clinical Diagnosis- of Congenital Heart Disease, M. Sat pat hy, Page 38Explanation:FEATURES OF INCREASED PULMONARY BLOOD FLOW (PULMONARY PLETHORA)Blood vessels become visible in the outer third of lung field (At least 6 vessels can be traced to the outer third. When hilar and intrapulmonary vessels are uniformly changed, it is very suggestive of shunt lesions.Ratio of right descending pulmonary artery to trachea >1.Right descending pulmonary artery diameter >14 mm suggests increased blood flow and >17 mm is very strongly suggestive.Prominent end-on vessels seen at hilum.Enface vessels below 10th posterior rib.Prominent vessels seen below crest of diaphragm.Ratio of vessel to adjacent bronchus >2.1.KERLEY B LINES - NOT SEEN IN INCREASED PULMONARY BLOOD FLOWThese are 1-2 cm thin lines in the peripheries of the lung.They are perpendicular to and extend out to the pleural surface.They represent thickened subpleural interlobular septa.Usually seen at the lung bases.Indicate pulmonary venous hypertension.Seen in:o CCF.o Punionary edemao Pulmonary fibrosis.